Asbestosis of the lung is associated with all of the following EXCEPT:-
1. Mesothelioma
2. Progression of lesion even after stopping exposure to asbestos
3. Nodular lesions involving upper lobe
4. Asbestos bodies in sputum

Correct answer: 3. Nodular lesions involving upper lobe

Explanation: . Nodular lesions involving upper lobe